Which of the following is not targeted in Millennium Development Goals (MDGs) ?
1. Eradicating extreme poverty
2. Fostering global partnership for development
3. Reducing child mortality
4. Improving health care delivery

Correct answer: 4. Improving health care delivery

Explanation: MILLENNIUM DEVELOPMENT GOALS (MDGS - TO BE ACHIEVED BY 2015) :

Millennium Development Goals (MDGs) is a set of 8 Goals adopted by 189 countries at UN Millennium Summit in September 2000.
Baseline year was taken as 1990: 'All MDGs have to be achieved by 2015'
3 of 8 goals (Goal 4, 5, 6), 8 of 18 targets and 18 of 48 indicators are 'directly' health related
Goal 1: Eradicate extreme poverty and hunger
Goal 2: Achieve universal primary education
Goal 3: Promote gender equality and empower women
Goal 4: Reduce child mortality (Reduce by two-thirds the under-five mortality rate)
Goal 5: Improve maternal health (Reduce by three-quarters the maternal mortality ratio)
Goal 6: Combat HIV/AIDS, malaria and other diseases
Goal 7: Ensure environmental sustainability
Goal 8: Develop a global partnership for development